According to national health policy, a subcentre caters to population in hilly and tribal areas -
1. 3000
2. 5GO0
3. 1000
4. 2500

Correct answer: 1. 3000

Explanation: Ans. is 'a' i.e., 3000 o A subcentre caters a population of-5000 in general 3000 in hilly, tribal & backward areaso A PHC caters a population of-30,000 in generalo A Community health centre caters 20,000 in hil ly, tribal & backward area.a population of-80,000 to 1.2 lakh,o A health assistant (male & females) are at a population of-30,000 in general oro Male and female health workers are at (20,000 in hilly, tribal or backward area.)a population of-5000 in general or 3000 in hilly, tribal or backward area,o Health guide caters a population of-1000o Anganwadi workers-1000o Local dai-1000